Which of the following ulcers are characteristically painless
1. Trauma
2. Tuberculosis
3. Primary syphilis
4. Herpes

Correct answer: 3. Primary syphilis